Tissue cartilages tendons are best visualized by:
1. CT
2. MRI
3. Radionucleid scan
4. Ultrasound

Correct answer: 2. MRI

Explanation: (MRI - 246-Sutton 7th)* There is little doubt however that MR is superior to other techniques in the detection and discrimination of most aspects of soft tissues except fine calcification, and is the method of choice in the investigation of musculoskeletal and joint lesions.* It can differentiates muscle, tendon, cartilage, discs, menisci, nerves, blood vessels, fat and bone and has multi planar and contrast enhanced ability.